Glycoprotein IIb/IIIa receptor antagonist is :
1. Clopidogrel
2. Abciximab
3. Tranexamic acid
4. Ticlopidine

Correct answer: 2. Abciximab